Pigment gallstones usually not seen in:
1. Gilbert's syndrome
2. Alcoholic cirrhosis
3. Cystic fibrosis
4. Clofibrate therapy

Correct answer: 4. Clofibrate therapy

Explanation: Clofibrate therapy: Increased biliary secretion of cholesterol, leads to cholesterol gallstones. Pigment stones are more common in patients who have chronic hemolytic states), liver cirrhosis, Gilbert's syndrome, or cystic fibrosis. Reference: Harrisons Principles of Internal Medicine, 18th Edition, Page 2618